Leptin is secreted by?
1. Ovaries
2. Adipose tissue
3. Liver
4. Hypothalamus

Correct answer: 2. Adipose tissue

Explanation: Ans, B, Adipose tissue.(Ref: Principles of medical physiology p.p'704)Leptin is a protein hormone produced by fat cells of adipose tissue.It acts on hypothalamus to reduce food intake, decrease lipogenesis and increase lipolysis, thereby reducing the body fat stores.